Mature defence mechanism is seen in -
1. Altruism
2. Repression
3. Regression
4. None

Correct answer: 1. Altruism